Disulfiram and acamprosate are used for:
1. Alcohol abstinence
2. Cocaine abuse
3. Opium poisoning
4. Atropine over dose

Correct answer: 1. Alcohol abstinence